Which of the following features on mammogram would suggest malignancy?
1. Well defined lesion
2. A mass of decreased density
3. Areas of spiculated microcalcifications
4. Smooth borders

Correct answer: 3. Areas of spiculated microcalcifications

Explanation: Ans. is 'c' i.e. Areas of spiculated microcalcifications Distinguishing features between benign and malignant lesions on mammogram:- BenignMalignantOpacitySmooth marginIII defined margin, Irregular stellate, spiculated margin, comet tail Low densityHigh density HomogeneousIn homogeneous Thin halowide haloCalcificationMacrocalcification (> 5mm inMicrocalcification (< 5 mm in diameter)diameter)Breast ParenchymaNormalArchitectural distortionNipple/areola+- Retracted+- RetractedSkinNormalthickenedCooper ligamentsNormalthickened, increase numberDuctsNormalfocal dilatationSubcutaneous retro mammary spaceNormalobliterated